What is the average number of mites found on the body in a person suffering from regular scabies?
1. 2-Jan
2. 10-May
3. 15-Oct
4. 15 - 20

Correct answer: 3. 15-Oct

Explanation: The difference between Norwegian scabies and regular scabies is the number of mites found on the infected individual. Regular scabies usually causes a person to host about 10 to 15 (range 3-50) mites at a time; a patient who has Norwegian scabies has thousands to millions.